In a 10-month-old infant presents with intussusception, likely cause is:
1. Peyer's patch hypertrophy
2. Meckel's diverticulum
3. Mucosal polyp
4. Duplication cyst

Correct answer: 1. Peyer's patch hypertrophy

Explanation: Ans. (a) Peyer's patch hypertrophyRef: Bailey 26th edition, Page 1184* Most common etiology for intussusception in infants is hypertrophied Peyer's patches which is usually due to rhinovirus infection